Drug that is mostly used to decrease the suicidal tendencies in Manic Bipolar Disorder
1. Fluoxetine
2. Lithium
3. Carbamazepine
4. Risperidone

Correct answer: 2. Lithium

Explanation: (B) Lithium # With Lithium treatment, patients have been shown to present a decreased risk of suicide (especially when treated with Lithium) and a reduction of frequency and severity of their episodes, which in turn moves them toward a stable life and reduces the time they spend ill.> In order to maintain their state of balance, therapy is often continued indefinitely, as around 50% of the patients who dis- continue it relapse quickly and experience either full-blown episodes or sub-syndromal symptoms that bring significant functional impairments.> There is a high rate of suicide among people with untreated bipolar disorder, and studies show that lithium treatment significantly reduces this risk.> Conversely, patients who discontinue lithium treatment are 20 times as likely to commit suicide during the first 6 months following discontinuation.